Highest fat content is found in -
1. Wheat
2. Rice
3. Maize
4. Bajra

Correct answer: 4. Bajra

Explanation: Ans. is 'd' i.e., BajraAmong cereals (maize, wheat, rice), maize has highest fat content.Amongst millets, bajara has highest fat contentBajra has more fat (5gm/100gm) than maize (4.5-4.7 gm/100 gm).